Continuous murmur is found in -a) AS combined with ARb) Systemic A V fistulac) PDA with reversal of shuntd) Aortopulmonary windowe) Rupture of sinus valsalva
1. abc
2. ade
3. bde
4. bce

Correct answer: 3. bde